False statement about folic acid?
1. It is present in all the green leafy vegetables
2. It is proven to decrease the occurrence of neural tube defects when taken prenatally
3. Wheat flour in India is fortified with folate as in USA
4. Active form of folic acid is tetrahydrofolate

Correct answer: 3. Wheat flour in India is fortified with folate as in USA

Explanation: Folic acid : 1.Folic acid acts as a carrier of one-carbon units. 2.The active form of folic acid (pteroyl glutamate) is tetrahydrofolate. 3.Sources: Leafy Green Vegetables, Legumes, Seeds, Liver, 4. The folates in foods may have up to seven additional glutamate residues linked by -peptide bonds. In addition, all of the one-carbon substituted folates may also be present in foods. 5. The extent to which the different forms of folate can be absorbed varies, and folate intakes are calculated as dietary folate equivalents--the sum of g food folates + 1.7 x g of folic acid (used in food enrichment). 6.Prevents NTD in the fetus, and Lowers homocysteine. 7.Metabolism: The one-carbon fragment of methylene-tetrahydrofolate is reduced to a methyl group with the release of dihydrofolate, which is then reduced back to tetrahydrofolate by dihydrofolate reductase. Ref : Biochemistry by U. Satyanarayana 3rd edition Pgno : 151